The principal problem with tuberosity reduction is:
1. Poor access
2. Formation of oro-antral fistula
3. Infection
4. Damage to posterior superior alveolar nerve

Correct answer: 2. Formation of oro-antral fistula